Radial keratotomy is done for:
1. Myopia
2. Hypermetropia
3. Corneal scar
4. All the above

Correct answer: 1. Myopia

Explanation: Myopia was earlier being treated by radial keratotomy procedure. Radial Keratotomy Radial Keratotomy Incisions are made in the cornea using diamond knife up to mid stroma. Incisions relax central steep cornea. Chances of complications like irregular healing, perforation, scattering are higher so replaced by LASIK.